Verrucosa Vulgaris is caused by :
1. HPV
2. EBV
3. CMV
4. HIV

Correct answer: 1. HPV

Explanation: A i.e. HPV